True about struma ovarii -a) Ectopic thyroid tissueb) Ectopic ovarian tissuec) It is benignd) It is included in teratoma
1. abc
2. ad
3. bc
4. acd

Correct answer: 4. acd

Explanation: Struma ovarii is the presence of mature thyroid tissue as a major cellular component in an ovarian tumor.
Ovarian tumor is nearly always a teratoma.
Most of the tumors are benign and in some cases thyrotoxicosis develops.